True about pugilistic attitude:
1. Indicate antemortem burns
2. Indicate postmortem burns
3. Cannot differentiate between ante- or postmortem
4. Indicate defense by victim

Correct answer: 3. Cannot differentiate between ante- or postmortem

Explanation: Ans. Cannot differentiate between ante- or postmortem